Treatment for gardenerella -
1. Metronidazole
2. Doxycycline
3. Azithromycin
4. Erythromycin

Correct answer: 1. Metronidazole

Explanation: Ans. is 'a' i.e., Metronidazole o Recommended Treatment for Bacterial vaginosis/ Gardenerella vaginosis is:# Metronidazole 500 mg orally twice a day for 7 days# Metronidazole gel, 0.75%, one full applicator (5g) intravaginally, once a day for 5 days.# Clindamycin cream, 2%, one full applicator (5g) intravaginally at bedtime for 7 days.